A 19-year-old college student smokes cannabis on a regular basis. Which of the following clinical findings is most likely to be seen an hour after inhalation?
1. a decrease in heart rate
2. an increase in intraocular pressure
3. prolonged reaction time
4. peripheral vasoconstriction

Correct answer: 3. prolonged reaction time

Explanation: The most common therapeutic use of cannabis is as an antiemetic during cancer chemotherapy. It might have some analgesic and anticonvulsant properties. Its ability to lower intraocular pressure has not been therapeutically useful in glaucoma. However, all the possible therapeutic effects of cannabis are accompanied by psychoactive effects, which include impaired cognition and perception, prolonged reaction time, and impaired memory and learning.